Among the following options which is not characteristic feature of non - hodgkins lymphoma
1. Ariser in a single node or Chain of nodes
2. Non contiguous spread in an unpredictable fastion
3. Merentric nodes and waleya ring are involved
4. Extranodal involvement

Correct answer: 1. Ariser in a single node or Chain of nodes

Explanation: Solution
Non - Hodgkin's lymphoma mainly involves multiple peripheral nodes.
They do not arise in Sequential manner.